Earliest site of bone involvement in acute hematogenous osteomyelitis in children is:
1. Metaphysis
2. Diaphysis
3. Epiphysis
4. Point of entry of the nutrient artery

Correct answer: 1. Metaphysis

Explanation: In acute hematogenous osteomyelitis in children, the metaphysis is commonly involved. The end vessels of the nutrient artery empty into much larger sinusoidal veins, causing a slow and turbulent flow of blood at this junction. These conditions predispose bacteria to migrate through adjacent gaps in the endothelium. Also, low oxygen tension in this region may compromise phagocytic activity of white blood cells. Thrombosis caused by infection results in a region of avascular necrosis that may lead to abscess formation. Must know: Staphylococcus aureus, Streptococcus, and Haemophilus influenzae are the most common causes of acute hematogenous osteomyelitis in children. The most common causes of septic arthritis are Neisseria gonorrhoeae, S. aureus, and group A Streptococcus. Ref: Wilson S.C., Skinner H.B. (2006). Chapter 8. Orthopedic Infections. In H.B. Skinner (Ed), CURRENT Diagnosis & Treatment in Orthopedics, 4e.